Chemotaxis is promoted by the all except -
1. Lymphokine
2. Kallikerine
3. Serotonin
4. Complement factor

Correct answer: 3. Serotonin

Explanation: Ans. is 'c' i.e., Serotonin